Co-translational insertion is seen with
1. Translocon
2. Chaperons
3. Ubiquitin
4. Mannose 6- P

Correct answer: 1. Translocon

Explanation: The signal hypothesis states that protein is inserted into ER membrane at the same time its mRNA being translated on polyribosomes known as " co-translational insertion ". This is translocation endoplasmic reticulum. Components: N terminal signal peptide: Polyribosomes SRP SRP-R Sec 61 translocon TRAM TRAP proteins Reference: Harper; 30th edition